Brain in starvation uses:
1. Amino acids
2. Cellulose
3. Ketone bodies
4. Glycerol

Correct answer: 3. Ketone bodies

Explanation: Ans. Ketone bodies